IPC 94 related to
1. Consent in emergency situations
2. Criminal responsibility of an act done by a person < 7 years
3. Criminal responsibility of an act done by an intoxicated person
4. Criminal responsibility of an act Compelled by threats

Correct answer: 4. Criminal responsibility of an act Compelled by threats

Explanation: Section 94:- Act to which a person is compelled by threats Except murder, and other offences punishable with death, nothing is an offence which is done by a person who is compelled to do it by threats of instant death Explanations A perso seized by a gang of dacoits, and forced, by threat of instant death, to do a thing which is an offence by law; for example, a smith compelled to take his tools and to force the door of a house for the dacoits to enter and plunder it, is entitled to the benefit of this exception.